Aplastic anaemia is:
1. Normocytic normochromic with thrombocytopenia
2. Megaloblasts
3. Hypochromic microcytic
4. Hyperchromic macrocytic

Correct answer: 1. Normocytic normochromic with thrombocytopenia